The most common chromosomal syndrome is –
1. Fragile X-syndrome
2. Trisomy 17
3. Trisomy 21
4. Trisomy 13

Correct answer: 3. Trisomy 21

Explanation: Down syndrome (Trisomy) is the most common of the chromosomal disorder. It occurs in frequency of 1:800 to 1:1000 newborn.